Following Caldwell luc operation, a patient develops hypoesthesia. Which nerve is damaged?
1. Infraorbital nerve
2. Supraorbital nerve
3. Maxillary nerve
4. Mandibular nerve

Correct answer: 1. Infraorbital nerve

Explanation: During Caldwell luc operation stretching of infraorbital nerve occur, which cause hypoesthesia Re: Textbook of Ear, Nose and Throat, Dhingra, 6th Edition; Pg no: 411